EMG is least useful for diagnosis of
1. Cerebral palsy
2. Spinal muscular atrophy
3. Charot-Marie-Tooth disease
4. Myasthenia gravis

Correct answer: 1. Cerebral palsy

Explanation: EMG is leastly used in cerebral palsy since the cause is in the brain and not in the muscles